Muscle that can extend the middle distal phalanx of the index finger include all except
1. The first dorsal inter interosseous
2. The first lumbrical
3. The second palmar interosseous
4. Extensor carpi radialis longus

Correct answer: 4. Extensor carpi radialis longus

Explanation: Extensor carpi radialis Origin: lower 1/3 rd of lateral supracondylar ridge of humerus Insertion: posterior surface of base of second metacarpal bone. Action: extends and abducts hand at the wrist joint.